All are true of actue rheumatic fever except ?
1. Aschoff nodule in mycoacardium
2. Focal myocardial fiber necrosis
3. Microthrombi in arteriole
4. Lymphocytic myocarditis

Correct answer: 3. Microthrombi in arteriole

Explanation: Ans. is 'c' i.e., Microthrombi in arteriole